Which of the following are bounded by membrane containing sterols:
1. Klebsiella
2. Staphylococcus
3. Mycobacteria
4. Mycoplasma

Correct answer: 4. Mycoplasma

Explanation: Ans. D: Mycoplasma Mycoplasma are devoid of cell walls The cells are bounded by a soft trilaminar unit membrane containing sterols